Cholangiocarcinoma most commonly metastases to-
1. Liver
2. Bones
3. Lung
4. Pancrease

Correct answer: 1. Liver

Explanation: Answer- A. LiverMost, patients present with abnormal liver function tests or frank jaundiceDiagnosis by ultrasound, MDR-CT or MRCP scanningMost common site of metastasis is liver.